which part of the brain isstimulated in vagal nerve stimulation
1. hippocampus
2. amygdala
3. water shed areas of brain
4. locus cereleus

Correct answer: 4. locus cereleus

Explanation: Vagus nerve stimulation * Electrical stimulation of left vagus nerve * Stimulation of raphe nucleus and locus cereleus * Release of norepinephrine and serotonin * Side effects * Voice alteration ref. kaplon and sadock, synopsis of psychiatry, 11 th editio, pg no, 1065